A patient selected for surgery induced with thiopental i.v. through one of the antecubital veins, complains of severe pain of whole hand. What should be the next line of management in this patient?
1. Give I.V. Ketamine through same needle
2. Give I.V. propofol through same needle
3. Leave it alone
4. Give I.V. lignocaine through same needle

Correct answer: 4. Give I.V. lignocaine through same needle

Explanation: This patient developed pain after injection of thiopentone because it was administered intraarterially instead of intravenous route. When thiopentone is injected intraarterially, at body pH it gets precipitated into crystals and occlude small arterial blood vessels, provoke intense vasospasm and may lead to complete arterial thrombosis. After arterial injection patients usually complaints of pain distal to injection site, ischemic colour changes in the affected limb and later there can be even ulceration, edema and gangrene. Treatment options include: Leaving the cannula in place Injection of heparin to reduce risk of thrombosis Injection of warm NaCl to dilute the substance Injection of local anaesthetic and /or vasodilator: lidocaine, procaine, phenoxybenzamine Dexamethasone to reduce edema Sympathetic block: stellate ganglion or brachial plexus Ref: Concise Anatomy for Anaesthesia By Andreas G. Erdmann page 89., Fundamentals of Anaesthesia edited by Tim Smith, page 572.